Fomepizole is a selective antidote for poisoning with:
1. MAO inhibitors
2. Ethyl alcohol
3. Methyl alcohol
4. Tricyclic antidepressants

Correct answer: 3. Methyl alcohol